All of the following are diagnostic barium follow-through features of ileocecal tuberculosis Except –
1. Apple – core appearance
2. Pulled up contracted cecum
3. Widening of ileocecal angle
4. Strictures involving terminal ileum

Correct answer: 1. Apple – core appearance

Explanation: Radiological features of ileocecal tuberculosis on barium enema 

Fleischner or inverted umbrella sign:- wide gaping of the ileocecal valve with narrowing of the terminal ileum.
Gooseneck deformity.
Conical cecum or Amputed cecum Cecum is shrunken in size and pulled out of the iliac fossa due to fibrosis and contraction of mesocolon.
Stierlin sign:- Narrowing of terminal ileum with rapid emptying into a shortened, rigid or obliterated cecum.
String sign
Widening of ileocecal (IC) angle
Purse string (napkin ring) stenosis
Discrete and transverse or star-shaped (stellate) ulcers with elevated margins.